The boundary of the triangle of auscultation is not formed by
1. Serratus anterior
2. Scapula
3. Trapezius
4. Latissimus dorsi

Correct answer: 1. Serratus anterior

Explanation: Triangle of auscultation is bounded medially by the lateral border of the trapezius, laterally by scapula and inferiorly by lattismus dorsi